APUD cells are seen in
1. Bronchial adenoma
2. Bronchial carcinoid
3. Hepatic adenoma
4. Villous adenoma

Correct answer: 2. Bronchial carcinoid

Explanation: Anime Precursor Uptake and Decarboxylation(APUD) cells are also known as neuroendocrine cells.These cells are the cell of origin of the carcinoid tumor Ref Robbing 9/e p719